All the following are seen in Hyperparathyroidism except
1. Subperiosteal erosion of bone
2. Loss of lamina dura
3. Calvarial thickening
4. Pepper - pot skull

Correct answer: 3. Calvarial thickening

Explanation: Calvarial thickening is a feature of Hypoparathyroidism.